In the right middle ear pathology, Weber's test will be:
1. Normal
2. Centralised
3. Lateralised to right side
4. Lateralised to left side

Correct answer: 3. Lateralised to right side

Explanation: (c) Lateralised to right side(Ref. Scott Brown, 8th ed., Vol 2; 928)Middle ear pathology indicates conductive deafness so Weber will be lateralised to the right side in the right ear pathology, i.e. towards the worst side.Weber is lateralised to the Worst ear in Conductive hearing loss and Better ear in Sensorineural hearing loss. (Mnemonic: We Create-Best Students).